Mizou-Nakamura phenomenon in fundus is seen in:
1. Congenital rod absence
2. Congenital stationary night blindness
3. Congential cone defect
4. Best disease

Correct answer: 2. Congenital stationary night blindness

Explanation: Congenital stationary night blindness(CSNB) Infantile onset nyctalopia with non progressive retinal dysfunction. Fundus appearance can be normal or abnormal. CSNB with abnormal appearing fundus is known as Oguchi disease. The fundus in oguchi disease is unusual golden yellow in color in light adapted state which becomes normal in color after prolong dark adaptation. This phenomena is known as Mizou-Nakamura phenomena.